Which of the following is not an ototoxic drug ?
1. Neosporin
2. Penicillin G
3. Kanamycin
4. Cisplatin

Correct answer: 2. Penicillin G

Explanation: Ans. is 'b' i.e., Penicillin G Important ototoxic drugs o Aminoglycosides o Cisplatin o Furosemide o Deferoxamine o Quinine o Chloroquine o Interferons o Erythromycin o Bleomycin o Aspirin